Instant energy to muscle is provided by which pathway
1. HMP shunt
2. Embden mayerhoff pathway
3. Cori cycle
4. TCA cycle

Correct answer: 2. Embden mayerhoff pathway

Explanation: The significance of the Glycolysis PathwayIt is the only pathway that is taking place in all the cells of the body. Glycolysis is the only source of energy in erythrocyte. In strenuous exercise, when muscle tissue lacks enough oxygen, anaerobic glycolysis forms the major source of energy for muscles.Ref: DM Vasudevan Textbook of Medical Biochemistry, 6th edition, page no: 93